Rupa Devi age 65 year old female with ovarian cancer is being treated with cisplatin based chemotherapy. All of the following are used to limit the toxicity of cisplatin except
1. N-acetylcycteine
2. Slow rate of infusion
3. Chloride diuresis
4. Amifostine

Correct answer: 1. N-acetylcycteine

Explanation: Ref-harrison 18/e p697 N-acetylcycteine used for Paracetamol poisoning whereas slow intravenous infusion and chloride diersis with amifostine can limit cisplatin induced nephrotoxicity